Most common cardiac anomaly in Turner syndrome:
1. Bifurcation of aorta
2. Coarctation of aorta
3. Aortic stenosis
4. Bicuspid aortic valve

Correct answer: 4. Bicuspid aortic valve

Explanation: Ans. Bicuspid aortic valve